A 10 yr old girl presents with a tibial mass.histopayhological examination reveals a small round cell tumor.whivh of the following molecular findings is most likely to be present
1. 22q translocation
2. 11q deletion
3. 7ptranslocation
4. n-myc amplification

Correct answer: 1. 22q translocation

Explanation: Ewings sarcoma and primitive neuro ectpdermal tumor are primary malignant small round cell tumors of bone and soft tissue. Reference Robbins page no 1232